Activated charcoal is used in:
1. Alcohol
2. Barbiturate
3. Heavy metal poisoning
4. Lead poisoning

Correct answer: 2. Barbiturate

Explanation: B i.e. Barbiturate